Acidic property to a-carbon of amino acid is due to-
1. Carboxyl group
2. Amino group
3. Hydrogenatom
4. None

Correct answer: 1. Carboxyl group

Explanation: Ans. is 'a' i.e., Carboxyl groupo The acid base properties of amino acids depend on the amino and carboxyl groups attached to the a-carbon.i) The carboxyl (-COOH) group of an amino acid can donate protein (H+) and behave as an acid forming a negatively charged anion (COO-).ii) Amino group (-NH2) can accept proton (H+) and behave as a base, forming positively charged cation (NH3+). o Thus, amino acids in aqueous solution are ionized and act as acids and bases.